ADA specification number for gypsum product is:
1. 20
2. 25
3. 15
4. 7

Correct answer: 2. 25

Explanation: ADA Specification No. 25 classifies five types of gypsum products, with the property requirement for each type.